Side effects of a drug arise due to interactions of the drug to molecules other than the target.These effects of the,drug can be minimized by its high:
1. Specificity
2. Solubility
3. Affinity
4. Hydrophobicity

Correct answer: 1. Specificity

Explanation: If a drug is more specific in action, it acts only in that particular organ so no systemic side effects will be seen and targeted cancer therapy using nanoparticles is also bases on this approach Ref; KD Tripathi pharmacology 7 th edition (page no; 84)